Which type of glycoprotein is collagen?
1. O-linkage
2. N-linkage
3. GPI linkage
4. none

Correct answer: 1. O-linkage

Explanation: O-glycosidic linkage: Mucin proteoglycans collagens Nuclear and cytosolic proteins N-Glycosidic linkage type: complex High mannose Hybrid GPI anchored: Acetylcholinesterase alkaline phosphatase Decay-accelerating factor 5'-nucleotidase Thy 1 antigen Variable surface glycoprotein Reference: Harpers illustrated biochemistry 31st edition pg549